NGS stands for
1. Next Generation Sanger
2. Next Genetic Sequencing
3. Next Generation Sequencing
4. Next Generation Spatial Separation

Correct answer: 3. Next Generation Sequencing

Explanation: Newer DNA sequencing technology Capable of producing large amounts of sequence data in a parallel manner